Characteristic EEC pattern seen in surgical tolerance stage of anesthesia is?
1. Alpha
2. Beta
3. Delta
4. Theta

Correct answer: 3. Delta

Explanation: Ans. is 'c' i.e., Delta